Greatest stress generated in a material till it follows a directly proportional relationship
1. Yield Strength
2. Proportional Limit
3. Toughness
4. Ultimate strength

Correct answer: 2. Proportional Limit